Diagnosis of Alcohol Dependence include all of the following, EXCEPT
1. Impaired occupational and social functioning
2. The need for daily drinking to function adequately
3. Lack of tolerance for alcohol
4. Inability to cut down or stop drinking

Correct answer: 3. Lack of tolerance for alcohol

Explanation: (C) Lack of tolerance for alcohol # Diagnosis of Alcohol Dependence includes the following, such as the: Impaired occupational and social functioning The need for daily drinking to function adequately Inability to cut down or stop drinking